Tramadol is:
1. Antiflatulent
2. Antireflux drug
3. Beta–blocker
4. Opioid analgesic

Correct answer: 4. Opioid analgesic